Classical symptom of endocervical polyp is
1. Cervical prolapse
2. Dyspareunia
3. Intermenstrual bleeding
4. Dysmenorrhea

Correct answer: 3. Intermenstrual bleeding

Explanation: Intermenstrual bleeding is classical symptom of endocervical polyp.